A young child with backache reveals a solitary collapsed dorsal vertebra with preserved intervertebral disk spaces and no evidence of soft tissue mass. The most likely diagnosis is?
1. Lymphoma
2. Langerhans's cell histiocytosis
3. Ewing's sarcoma
4. Metastases

Correct answer: 2. Langerhans's cell histiocytosis

Explanation: Ans BThis classic imaging appearance is called Vertebra plana and in children is most commonly seen in Langerhans's cell histiocytosis